MOA of vancomycin is:
1. Cell wall synthesis inhibition
2. Cell membrane inhibition
3. Peptide synthesis inhibition
4. 30s ribosome inhibition

Correct answer: 1. Cell wall synthesis inhibition

Explanation: ANS. A# Mechanism of action of cell wall synthesis inhibitors* Beta lactam antibiotics: Transpeptidase blocker* Vancomycin: Transglycosylation blocker* Dephosphorylation blocker: Bacitracin* Enol pyruvate transferase blocker: Fosfomycin* Alanine ligase blocker: Cycloserine# Mechanism of action of protein synthesis inhibitors* Aminoglycoside: Blocks initiation by binding to 30s* Linezolid: Blocks initiation by binding to 50s* Tetracycline: Blocks attachment of new amino acid to acceptor site* Chloramphenicol: Peptidyltransferase blocker* Macrolide, lincosamide, streptogramin: Blocks translocation